Metabolism of chloramphenicol is by-
1. Glucuronide conjugation
2. Oxidation
3. Acetyl ation
4. Sulfation

Correct answer: 1. Glucuronide conjugation

Explanation: Ans. is 'a' i.e., Glucuronide conjugation o Chloramphenicol undergoes enterohepatic circulation and is primarily conjugated with glucuronic acid in the liver.